Commonest skin infection in children is -
1. Scabies
2. Impetigo contagiosa
3. Molluscum contagiosa
4. Warts

Correct answer: 2. Impetigo contagiosa

Explanation: B i.e. Impetigo contagiosa